All the following parasites cause malignancy except
1. Schistosoma haematobium
2. Clonorchis sinensis
3. Opisthrochis viverrini
4. Onchocerca volvulus

Correct answer: 4. Onchocerca volvulus

Explanation: S. haematobium - SCC of urinary bladder
C. Sinensis - Cholangiocarcinoma of liver, bileduct.
O. Viverrini - Cholangiocarcinoma of bileduct.